Surface area of tympanic membrance
1. 55mm2
2. 70mm2
3. 80mm2
4. 90mm2

Correct answer: 4. 90mm2

Explanation: The surface area of tympanic membrane is 90 mm2. Only 55 mm2 is functional. Ref: PL Dhingra 6th edition of Ear, Nose and Throat; pg no 14